All are true about primary bacterial peritonitis, EXCEPT:
1. Ascitic fluid PMN count > 250 is diagnostic
2. Microbiology of PBP is distinctive
3. Some patients may be totally asymptomatic
4. Usually does not respond to routine antimicrobial therapy

Correct answer: 4. Usually does not respond to routine antimicrobial therapy

Explanation: PBP is commonly present with fever, but it can present without any symptoms too. Ascitic fluid analysis should be performed in all suspected cases and PMN > 250/l is diagnostic of PBP. Escherichia coli are most commonly encountered as the cause of PBP. In PBP, a single organism is typically isolated. PBP is usually treated with cefotaxime and it responds very well to it. Ref: Harrison, E-18, P-1081.